A 25 years of male presents to emergency department following a road traffic accident. On examination there is pelvic fracture and blood at urethral meatus. All of the following are true about patient except:
1. Anterior urethra is the most likely site of injury
2. Retrograde urethrography should be done after the patient is stabilized
3. Foley catheter may be carefully passed if the RGU is normal
4. Rectal examination may reveal a large pelvic hematoma

Correct answer: 1. Anterior urethra is the most likely site of injury

Explanation: INJURIES TO POSTERIOR URETHRA ETIOLOGY MC site injured in pelvic fracture is membranous urethra. CLINICAL FEATURES Retention of urine + Blood at urethral meatus + Pelvic hematoma and high lying prostate Presence of blood at external urethral meatus indicates thatImmediate urethrography Pie in sky appearance on IVP in membranous urethral injury. INSTRUMENTAL EXAMINATION In suspected partial injury, gentle single attempt to catheterize the patient acts as a stent over which urethra heals. Retrograde urethrography should be done after the patient is stabilized